After a brawl, a young male presented with inability to extend his distal interphalangeal joint. An X-ray was taken and was shown to be normal. What should he the next step in managing the patient?
1. Splint
2. Surgery
3. Wax bath
4. Ignore

Correct answer: 1. Splint

Explanation: Ans. a. Splint (Ref. Apley's 8/e p339)Mallet finger is avulsion fracture of distal phalanx due to sudden flexion.Matlet finger (Baseball finger)Avulsion of extensor tendon of the distal interphalangeal joint from its insertion at the base of distal phalanxQ.It results from sudden passive flexionQ of the distal interphalangeal jointPatient usually presents with slight flexion of the distal interphalangeal jointQX-ray remains normal because there is no bony injuryQTreatment:An acute mallet finger should be splinted with the joint ion extension for 8 weeksQ.